Following can cause rib notching except:
1. Blalock Taussig shunt
2. Waterston Cooley's shunt
3. Pulmonary atresia with large VSD
4. All

Correct answer: 2. Waterston Cooley's shunt

Explanation: B i.e. Waterston Cooley's shunt